91-96% of polio virus infection causes belongs to:
1. Sub clinical infection
2. Abortive polio
3. Non paralytic polio
4. Paralytic polio

Correct answer: 1. Sub clinical infection

Explanation: When an individual susceptible to polio is exposed, one of the following responses may occur: INAPPARENT/ SUBCLINICAL INFECTION: This occurs approximately in 91-96 per cent of poliovirus infections. There are no presenting symptoms. Recognition is only by virus isolation or rising antibody titres. ABORTIVE POLIO: Occurs in approximately 4 to 8%. lt causes only a mild or self-limiting illness due to viraemia. The patient recovers quickly. Recognition is only by virus isolation or rising antibody titre. NON-PARALYTIC POLIO: Occurs in approximately 1% of all infections with presenting features of stiffness and pain in the neck and back. The disease lasts 2 to 10 days. Recovery is rapid. PARALYTIC POLIO: Occurs in less than 1 % infections. The virus invades CNS and causes varying degrees of paralysis. REMEMBER: India reported its last polio case on January 13, 2011 in West Bengal. In 2009, it reported 741 polio cases, more than anywhere else in the world. In 2010 only 42 cases were reported against 1.5 lakh in 1985. Ref: Park's textbook of Preventive and Social Medicine, 21stedition, page-185